Hepatitis 'C' virus resembles which of the following virus groups -
1. Picarno viruses
2. Herpes viruses
3. Hepadna viruses
4. Flavi viruses

Correct answer: 4. Flavi viruses

Explanation: HCV resembles flaviviruses in structure&organisation REF:
ANATHANARAYANAN MICROBIOLOGY NINTH EDITION PAGE.549